Thomas splint is used for immobilizing fractures of -
1. Femur
2. Tibia
3. Radius
4. Ulna

Correct answer: 1. Femur

Explanation: Ans. is 'a' i.e., Femur Splintso Any material which is used to support a fracture is called splint.o Splints are used for immobilizing fractures; either temporarily during transportation or for definitive treatment,o The most commonly employed splints is plaster of paris (POP) splint. Various POP splints are:-Casts : - Here the POP roll completely encircles the limb.Slab : - It is not completely encircles the limb, but only one half or one third circumference.Spica : - This encircles a part of the body; e.g., hip spica for fractures around hip.o Important non-pop splints are :-NameUseCramer-wire splintThomas splintBohler-Braun splintAluminium splintDennis Brown splintCock-up splintKnuckle-bender splintToe-raising splintVolkmann's splintFour-post collarAeroplane splintSOM1 braceASHE (Anterior spinal hyperextension)Taylor's braceMilwaukee braceBoston braceLumbar corsetEmergency immobilizationFracture femur-anywbereFracture femur-anywhereImmobilization of fingersCTEVRadial nerve palsyUlnar nerve palsyFoot dropVolkmann's ischaemic contracture (VIC)Neck immbilisationBrachial plexus injury'Cervical spine injury'Dorso-lumbar spinal injury' braceDonso-lumbar immobilisationScoliosisScoliosisBackache